Which one of the following is not a complication of cervical cone biopsy?
1. Bleeding
2. Cervical stenosis
3. Sepsis
4. Spread of the cancer

Correct answer: 4. Spread of the cancer

Explanation: Spread of the cancer is not a complication of core biopsy. Bleeding, cervical stenosis and sepsis can develop following cone biopsy.